Collagen distributed in rhabdomyosarcoma cells?
1. Type V
2. Type XII
3. Type XIX
4. Type XXIV

Correct answer: 3. Type XIX

Explanation: Type XIX is distributed Rarely. Seen in basement membranes, rhabdomyosarcoma cells Reference: Harper; 30th edition; Page no: 628 Table no: 50-1